All is true about Pecquet duct EXCEPT
1. Begins at level of T 12
2. Enters thorax through aortic opening
3. Crosses from right to left at level of T8
4. Passes the superior aperture of thorax

Correct answer: 3. Crosses from right to left at level of T8

Explanation: Thoracic duct, aka duct pecquet, is the largest lymphatic vessel in the body. it Crosses from right to left at level of T5 It extends from the lower border of T12 as a continuation of the cisterna chyli. Enters thorax through the aortic opening of diaphragm along with the aorta & azygous veins. It ascends through the posterior mediastinum till T5, where it crosses from right to left side. It then courses through superior mediastinum along the left edge of esophagus and reaches the neck. In the neck it arches laterally at level of transverse process of C7. It descends in front of the 1st part of subclavian artery & ends by opening into the angle of junction between the L. subclavian & L. jugular veins